Increases in steroid hormones are associated with significant increases in
1. Actinomyces viscosus
2. Prevotella intermedia
3. Streptococcus sanguis
4. Campylobacter rectus

Correct answer: 2. Prevotella intermedia